All are true about right phrenic nerve except?
1. Motor branch
2. Sensory branch
3. Arises from C4
4. Longer course than left Phrenic nerve

Correct answer: 4. Longer course than left Phrenic nerve

Explanation: The phrenic nerve is a mixed nerve which gives its sole motor supply to the diaphragm. Arises from C3-5 mainly from C4 the right phrenic nerve is shorter and more vertical than left. Ref: BD Chaurasia 4th ed vol 2 Page 311